The ideal temperature to cool the burnt surface is
1. 10degC
2. 15degC
3. 20degC
4. 25degC

Correct answer: 2. 15degC

Explanation: In temperate climates cooling should be at about 15degC and hypothermia must be avoided They provide analgesia and delay the micro vascular damage in burns It should occur for a minimum of 20 minutes and is effective upto 1 hour after burn injury. Particularly important in scalds Ref: Bailey and love 27th edition Pg no : 620